Small muscles of hand are supplied by -a) C4b) C5c) C6d) C8e) T1
1. ab
2. bc
3. cd
4. de

Correct answer: 4. de

Explanation: Small muscles of hand include- Thenar, Hypothenar, interossei and lumbricals. They are supplied by C8-T1.